Which branch of portal vein is involved in chronic pancreatitis
1. Superior mesenteric vein
2. Inferior mesenteric vein
3. Left branch of portal vein
4. Splenic vein

Correct answer: 4. Splenic vein